The power of Amnesty for capital punishment is vested with
1. The president
2. Supreme court
3. High court
4. The governer

Correct answer: 1. The president

Explanation: Article 72(1) of the Constitution of India states: The President shall have the power to grant pardons, reprieves, respites or remissions of punishment or to suspend, remit or commute the sentence of any person convicted of any offence (a) in all cases where the punishment or sentence is by a Court Martial; (b) in all cases where the punishment or sentence is for an offence against any law relating to a matter to which the executive power of the Union extends; (c) in all cases where the sentence is a sentence of death Ref - indiankanoon.org